A peripheral smear with increased neutrophils basophils, eosinophils, and platelets is highly suggestive of -
1. Actute myeloid leukemia
2. Acute lymphoblastic leukemia
3. Chronic myelogenous leukemia
4. Myelodysplasia syndrome

Correct answer: 3. Chronic myelogenous leukemia

Explanation: Peripheral smear picture of chronic myeloid leukemia shows marked leucocytosis (myelocytes,metamyelocytes,mature segmented neutrophils , basophils,eosinophils) , with normal or raised platelet count. Harsh mohan textbook of pathology 6th edition pg no 358.